Which of the following is maximally associated with heart disease-
1. HDL
2. LDL
3. VLDL
4. CHYLOMICRONS

Correct answer: 2. LDL

Explanation: REF:-PARK 25TH EDITION,PG NO-399 HIGH LEVELS OF CHOLESTEROL THAT IS MOST DIRECTLY ASSOCIATED WITH CHD. VERY LOW LEVELS OF CHOLESTEROL MORE STRONGLY ASSOCIATED WITH PERIPHERALVASCULAR DISEASE HDL >40mg/dl lowers the incidence of CHD